Sphincterectomy of sphincter of oddi is performed at
1. 3 O'clock position
2. 6 O' clock position
3. 9 O'clock position
4. 11 O'clock position

Correct answer: 4. 11 O'clock position

Explanation: Transduodenal Sphincterectomy This cut is made Superiorly (at 11 O'clock position) for 4 to 5 mm. The sphincter is incised at the 11 O'clock position to avoid injury to the pancreatic duct Ref: Sabiston 20th edition Pgno :1496